70 kg man with height of 1.75 m will have BMI in the range of -
1. Underweight
2. Overweight
3. Obese
4. Normal

Correct answer: 4. Normal

Explanation: Ans. is 'd' i.e., NormalBMI =Weight (Kg)----------------(Height in meters)2=70------(1.75)J= 22.86 (Normal BMI) BMI =Weight in kg----------------(Height in meters)2=50------(1.50)2= 22.22 Classification of adults according to BMIClassificationBMIRisk of comorbiditiesUnderweight< 18.50Low (but risk of other clinical problems increased)Normal range18.50-24.99AverageOverweight:> 25.00 Pre-obese25.00-29.99IncreasedObese class I30.00-34.99ModerateObese class II35.00-39.99SevereObese class III> 40.00Very severe* Thus, the patient in question is classified into normal range.